All are decreased in infiltrative lung disease except
1. Vital capacity
2. Alveolar arterial difference in PaO2
3. Total lung capacity
4. Lung compliance

Correct answer: 2. Alveolar arterial difference in PaO2

Explanation: In infiltrative lung disease the alveolar capillary bed is damaged and there is a decrease in diffusion capacity.this results in an increase in alveolar arterial differences in PaO2 Ref Harrison 19th edition pg 1710